Most common cause of acute parotitis -
1. S. Aureus
2. S. Pneumonia
3. Klebsiella
4. S.Viridans

Correct answer: 1. S. Aureus

Explanation: Ans. is 'a' i.e., Staph Aureus o MC organism is staph aureus >> str. viridans >> pneumococcus.